Any loss/abnomality of physiological/psychological/ anatomical structure or function is-
1. Disease
2. Impairment
3. Disability
4. Handicap

Correct answer: 2. Impairment

Explanation: Ans. is 'b' i.e., Impairment o According to WHO definitions,# Disease: Any abnormal condition of an individual that impairs function# Impairment: Any loss or abnormality of psychological, physiological or anatomical structure or function# Disability: (Because of impairment,) any restriction or inability to perform an activity in a range considered normal for a human being# Handicap: A disadvantage for a given individual, resulting from an impairment/disability, that limits/prevents fulfillment of a role considered normal (depending on age, sex, social, cultural factors) for that individual